Oral incretin analogue
1. Semaglutide
2. Dulaglutide
3. Exenatide
4. Liraglutide

Correct answer: 1. Semaglutide

Explanation: GLP analogues are usually given by SC route but now recently oral analogue was prepared-semaglutide. Ref: Ktzung 12 th ed.